Most common complication of extra capsular fracture of neck of femur is:
1. Non union
2. Ischemic necrosis
3. Malunion
4. Pulmonary complications

Correct answer: 3. Malunion

Explanation: Extra-capsular (inter-trochanteric) fracture is more common than intra-capsular. Most common complication of Extra-capsular fracture of neck of femur of neck is mal-union. In Intra-capsular (neck of femur fracture), the most common complication is avascular necrosis > non-union.